Multiple submucosal neuromas are most likely associated with -
1. Medullary carcinomos of the thyroid
2. Ovarian carcinoma
3. Testicular teratoma
4. Pancreatic beta cell carcinoma

Correct answer: 1. Medullary carcinomos of the thyroid

Explanation: MEN II syndrome consists of -
. MEN II A
       and
. MEN II B
Remember
Similarity between MEN IIA MEN II B
Both the type of MEN II syndrome demonstrates
Medullary carcinoma thyroid
Pheochromocytoma
There distinguishing features between MEN II A MEN II B –